Corneal reflex is lost in the disease of:
1. Ophthalmic nerve
2. Ciliary ganglion
3. Supra orbital nerve
4. Motor nucleus of 5th cranial nerve

Correct answer: 1. Ophthalmic nerve

Explanation: Ans. Ophthalmic nerve